A person with defective blue color appreciation is called ?
1. Deuteranomalous
2. Deuteranopia
3. Tritanopia
4. Tritanomalous

Correct answer: 4. Tritanomalous

Explanation: Ans. is `d' i.e., Tritanomalous